A 10 month old child presents with two weeks history of fever, vomiting and alteration of sensorium Cranial CT scan reveals basal exudates and hydrocephalus. The most likely etiological agent is:
1. Mycobacterium tuberculosis
2. Cryptococcus neoformans
3. Listera monocytogenes
4. Streptococcus pneumonia

Correct answer: 1. Mycobacterium tuberculosis

Explanation: Insiduous / gradual onset of fever over a duration of two weeks, with features of raised intracranial tension in the form of vomiting and altered sensoriurn with characteristic basal exudates and hydrocephalus on cranial CT scan are almost characteristic of tuberculous meningitis. Ref: Text Book of Pediatrics By Nelson, 17th Edition, Page 965, 966